Episiotomy incision was extended posteriorly beyond perineal body injuring the structure immediately posterior to it. Which structure has been injured
1. External anal sphincter
2. Ischiocavernosus
3. Bulbospongiosus
4. Urethral sphincter

Correct answer: 1. External anal sphincter

Explanation: Ext. anal sphincteris present just posterior to perineal body. Therefore, Ext. anal sphincter can be injured when episiotomy incision given posteriorly beyond perineal body.